Drug that inhibits cell wall synthesis is?
1. Tetracyclins
2. Penicillins
3. Aminoglycosides
4. Chloramphenicol

Correct answer: 2. Penicillins

Explanation: ANSWER: (B) PenicillinREF: KDT 6th edition page 688MECHANISMS OF ACTIONS OF ANTIBIOTICS:Cell wall synthesis inhibitorsBeta lactams , cycloserine . fosfomvcin , bacitracin , vancomycinProtein synthesis inhibitors * freeze initiation * inhibit elongation* inhibit translocationAminoglycosidesTetracyclines , puromycins , chloramphenicolClindamycin, erythromycinMisreading of RNA codeAminoglycosidesInhibit DNA gyraseNalidixic acid and nitrofurantoinDrugs binding to ribosomes* 30 S - Tetracycline, streptomycin* 50 S - chloramphenicol, clindamycin, erythromycin* Both 30 S and 50 S - Aminoglycosides except streptomycin